Paraduodenal recess is associated with which vessel
1. Superior mesenteric vessel
2. Inferior mesenteric vein
3. Gastroduodenal vessles
4. Celiac vessels

Correct answer: 2. Inferior mesenteric vein

Explanation: Para duodenal recess is an occasional recess in the peritoneum to the left of the terminal portion of the duodenum located posterior to a fold containing the inferior mesenteric vein. ref - Researchgate.net